Which structure lies in paraduodenal fold-
1. Superior mesenteric artery
2. Splenic Vein
3. Inferior mesenteric Vein
4. Gastroduodenal artery

Correct answer: 3. Inferior mesenteric Vein

Explanation: Ans. is 'c' i.e., Inferior mesenteric Vein Paraduodenal recesses1) Superior duodenal recess :# It is present in 50% of subjects and lies opposite to L2 vertebra, to the left of 4th part of duodenum.2) Inferior duodenal recess :# Present in 75% of subjects and lies opposite to L3 vertebra, to the left of 4th part of duodenum.3) Retroduodenal recess:# It is present occasionally and is largest duodenal recess. It lies behind the 3rd and 4th parts of duodenum, anterior to abdominal aorta.4) Paraduodenal recess:# It is present in 20% of subjects, but is more common in newborns. It lies left and behind 4th part of duodenum.# The inferior mesentric vein lies in the free edge of peritoneal fold.5) Duodenojejunal (mesocolic) recess :# It is present in 20% of adults. It lies between duodeno-jejunal junction and root of transverse mesocolon, left to abdominal aorta.6) Mesentericoparietal fossa of Waldeyer :# Is present only in 1% of adults and lies behind the upper part of mesentery.# Superior mesenteric vessels lie in the fold of peritoneum covering this fossa.